All are used in the treatment of hot flushes except
1. Tamoxifen
2. Venlafaxine
3. Gabapentin
4. clonidine

Correct answer: 1. Tamoxifen

Explanation: A hot flush is the adverse effect of tamoxifen venlafaxine is a serotonin and noradrenaline reuptake inhibitors used for hot flushes. Clonidine attenuates vasomotor symptoms of menopausal syndrome. Gabapentin can be used rarely (Ref.Essentials.of medical pharmacology TD Tripathi 7th edition page no.313)